Which of the following is not a voluntary extraocular muscle
1. Superior rectus
2. Superior oblique
3. Superior tarsal muscle
4. Levator palpebrae superioris

Correct answer: 3. Superior tarsal muscle

Explanation: Voluntary Muscles:
1. Four Recti ⇒
→ Superior rectus.
→ Inferior rectus.
→ Medial rectus.
→ Lateral rectus.
2. Two obliques ⇒
→ Superior oblique.
→ Inferior oblique.
3. Levator palpebrae superioris ⇒ Elevates the upper eyelid.
Involuntary Muscles:
1. Superior tarsal muscle  ⇒ Elevates upper eyelid.
2. Inferior tarsal muscle  ⇒ Depresses lower eyelid.
3. Orbitalis muscle.